False about GB polyps
1. Adenomyomatosis <1 cm, pedunculated
2. Cholesterol polyps are most common
3. Symptomatic polyps are indication for cholecystectomy
4. Polyp with stone is an increased risk of malignancy

Correct answer: 1. Adenomyomatosis <1 cm, pedunculated

Explanation: Polypoid lesions of the gallbladder Cholesterol Polyps They are most common Usually <10mm in size Have a characteristic echogenic pedunculated appearance on USG Multiple (30% of cases) Adenomatous polyp Adenomatous polyp has malignant potential. Adenoma may be difficult to distinguish from adenocarcinoma of GB Main differentiating feature is a lack of transmural invasion on USG Risk factors associated with malignancy Age >60 years Documented increase in size Coexistence of gallstones Size >10mm Ref:Sabiston 20th edition Pgno :1510